Difference between antimortem and postmortem burns all except:
1. Vesicle with hyperemic base or red line
2. Pus
3. Air in the bleb
4. High protein content

Correct answer: 3. Air in the bleb

Explanation: C i.e. Air in the bleb - Antemortem burn blisters have hyperemic base with red line and vital reactionsQ. The fluid contains protein, chloride, RBC, leukocytes & pus but not air(2. - Blister fluid contains high albumin, chlorides & blood corpusclesQ in Antemortal burns; while in Post mortal blisters they usually contain airQ and if fluid then it is not albuminic, without chloride & blood corpusclesQ